Keratomalacia
1. Occurs due to Vitamin A deficiency
2. Relative Benign condition
3. First feature of Vitamin A deficiency
4. Also seen in retinitis pigmentosa

Correct answer: 1. Occurs due to Vitamin A deficiency

Explanation: Night blindness is a first feature of Vitamin A deficiency and is also a feature of retinitis pigmentosa Refer: Khurana 6th edition page number 468